Pressure employed, during suction evacuation, in MTP:
1. 200-400 mm Hg
2. 400-600 mm Hg
3. 600-800 mm Hg
4. 800-1000 mm Hg

Correct answer: 2. 400-600 mm Hg

Explanation: Ans. B: 400-600 mm Hg The pressure of the suction is raised to 400-600 mm Hg, once the appropriate suction cannula is introduced into the uterus